Day care surgery uses
1. Sodium thiopentone
2. Propofol
3. Methoxitone
4. Ether

Correct answer: 2. Propofol

Explanation: i.e. (Propofol): (81-A-Yadav 4th)Propofol is the IV agent of choice for day care surgeryBecause-(i) Early induction(ii) Early and smooth recovery(iii) Inactive metabolites(iv) Antiemetic antipruritic* Along with opioids (alfntanil or renifentanil) propofol is the agent of choice for total intravenous anaesthesia (TIVA)* Propofol infusion is used to produce sedation in ICU* Agent of choice for induction in susceptible individuals for malignant hyperthermia* *** Propofol is safe in porphyria (373- Wylie Anaesthesia)PROPOFOL (2mg/kg)It is oil based preparation containing soya bean oil egg lecithin and glycerol, so injection is painful and should be preceded by lignocaine injection. The colour of solution is milky white and used within 6 hour after opening the vial because there have been death reports following the use of contaminated solution ofpropofol (as egg lecithin is good media for bacterial growth) and to prevent this problem recently available propofol formulations have disodium edate or sodium metabisulfite as anti microbial agents* Mechanism of action is mainly GABA mediated* Most common side effect during induction of anesthesia is hypotension. Which is augmented by concomitant administration of opioids